Taste sensation from posterior 1/3rd carried by:
1. Glossopharyngeal
2. Lingual
3. Chorda tympani
4. Vagus

Correct answer: 1. Glossopharyngeal

Explanation: Taste sensation from posterior 1/3rd of the tongue is carried by glossopharyngeal nerve. The sensory fibers in the glossopharyngeal nerve include taste afferents, supplying the posterior third of tongue and pharynx, and general visceral afferents from the posterior third of tongue, tonsillar region, posterior palatal arch, soft palate, nasopharynx and tragus of the ear. Taste sensation from anterior 2/3rd is carried by chorda tympani nerve a branch of facial nerve. General sensation from anterior ? rd is carried by the lingual nerve and by the glossopharyngeal nerve in the posterior third. All the muscles of the tongue are supplied by hypoglossal nerve except the palatoglossus muscle which is innervated by the accessory nerve.